"Bacillary Angiomatosis". Causative organism is
1. Brucella
2. Bartonella
3. Listeria
4. Borellia

Correct answer: 2. Bartonella

Explanation: Bartonella